Secondary amyloidosis complicates which of the following
1. Pneumonia
2. Chronic glomerulonephritis
3. Irritable bowel sydrome
4. Chronic osteomyelitis

Correct answer: 4. Chronic osteomyelitis

Explanation: Ref Robbins 9/e p257;8/e p253;7/e p261 TB , bronchiectasis and chronic osteomyelitis were the most important underlying conditions but with the advent of effective antimicrobial chemotherapy the connective tissue disorders such as rheumatoid arthritis , ankylosing spondylitis and inflammation bowel disease . particularly crohn disease and ulcerative colitis